Plaintiff is a person who:
1. Files case in civil court
2. Acts as defender
3. Gives judgment
4. Same as public prosecutor

Correct answer: 1. Files case in civil court

Explanation: Ans. Files case in civil court